Structure over bicipital aponeurosis in cubital fossa?
1. Ulnar nerve
2. Radial nerve
3. Brachial artery
4. Veins

Correct answer: 4. Veins

Explanation: Veins